CAR-T cells are used in the treatment of which of the following cancers?
1. Acute lymphoblastic leukemia
2. Soft tissue sarcoma
3. Medulloblastoma
4. Small cell lung carcinoma

Correct answer: 1. Acute lymphoblastic leukemia

Explanation: CAR-T cells Chimeric antigen receptor (CAR) T cells are T-cells extracted from patient and modified in vitro to change T-cell receptor to detect specific protein on surface of malignant cells such as CD19 Currently approved for use in acute lymphoblastic leukemia and B-cell NHLs Examples of CAR-T cells are Kymria (ALL), Yescaa (DLBCL)